Gerlach tonsil is ?
1. Palatine tonsil
2. Lingual tonsil
3. Tubal tonsil
4. Nasopharyngeal tonsil

Correct answer: 3. Tubal tonsil

Explanation: Ans. is 'c' i.e., Tubal tonsilGerlach tonsil is a collection of lymphoid nodules near the pharyngeal opening of auditory tube.It is also called as tubal tonsil.Gerlach valve : A fold of mucous membrane at the origin of vermiform appendix, simula ye. It is also known as valve of vermiform appendix or valvula processus vermiformis.Gerlach valvula : It is the network of fibers at the iridocarneal angel between the anterior chamber of the eye and venous sinus of sclera. It is also known as trabecular reticulum.Gerlach anular tendon : It is the fibrocartilaginous ring of tympanic membrane (thickened portion of circumference) that is fixed in tympanic sulcus.